Which type of Amyloidosis is caused by the mutation of a transthyretin protein?
1. Dialysis associated amyloidosis
2. Familial Mediterranean fever
3. Familial amyloidotic polyneuropathy
4. Prion protein associated amyloidosis

Correct answer: 3. Familial amyloidotic polyneuropathy

Explanation: Familial amyloidotic polyneuropathy is associated with a mutation in plasma transthyretin. Transthyretin is a 127 aminoacid residue single chain polypeptide that is made in the liver. It binds & transports thyroxine & retinol. FAP is an autosomal dominant disease characterized by a distal to proximal symmetric polyneuropathy. In addition to severe autonomic neuropathy sensory and motor nerves are also affected. Clinical features: Symptoms of the disease begins in the fourth and fifth decade, and is characterized by autonomic dysfunction, polyneuropathy, occasional cardiomyopathy and renal failure until death. Ref: Principles of Surgical Practice By A. N. Kingsnorth, Page 286